The drug which causes renal papillary necrosis is?
1. Acetophenetidin
2. Gentamicin
3. Gold
4. Methicillin

Correct answer: 1. Acetophenetidin

Explanation: Ans. (a) AcetophenetidinRef: Robbiris pathology 9th ed. /423. 936t* Renal papillary necrosis due to acetophenetidin/ phenacetin is a gradual process with slow loss of renal function.* The most common cause of renal papillary necrosis is diabetic glomerulopathy